Which one is non-ionising radiation –
1. MRI
2. CT Scan
3. X–ray
4. Position emission scintigraphy

Correct answer: 1. MRI

Explanation: MRI is non-ionizing radiation.